What is the main storage form of energy and fat?
1. Triglycerides
2. Glucose
3. Phospholipids
4. None of the above

Correct answer: 1. Triglycerides

Explanation: Triglycerides are the main storage form of energy and fat.